Anterior Staphyloma is seen in:
1. Sloughing corneal ulcer
2. Scleritis
3. Glaucoma
4. Patholog ical myopia

Correct answer: 1. Sloughing corneal ulcer

Explanation: Ans: A (Sloughing corneal ulcer) Ref: Parson's Disease of the Eye 21st edition, pg. 222-223Explanation:Staphyloma* Staphyloma is characterized by an ectasia of the outer coats of the eye with an incarceration of the uveal tissueTypesSiteCausesAnteriorInvolving part or the whole of the cornea; lined by irisSloughing corneal ulcerIntercalaryLimbus and 2 mm from the limbuslined by ciliary bodyPerforating injuriesMarginalcorneal ulcerAnterior scleritisScleromalaciaperforansPost surgicalwound siteSecondaryglaucomaEquatorial2-8 mm from the limbus lined by the choroidScleritis,PathologicalmyopiaChronicuncontrolledglaucomaPosteriorPosterior pole; lined by the choroidSame as equatorialManagement:Treat the causeIOP controlObservationLocal excision with sclera or corneal patch graft